True about the treatment of nocturnal enuresis -
1. Imipramine
2. CPZ
3. Alprazolam
4. Haloperidol

Correct answer: 1. Imipramine

Explanation: Behavioral therapy is the treatment of choice for nocturnal enuresis. If behavioral therapy fails, Desmopressin (DOC) or imipramine can be used.